All of the following enzymes are involved in oxidation-reduction, except:
1. Dehydrogenases
2. Hydrolases
3. Oxygenases
4. Peroxidases

Correct answer: 2. Hydrolases

Explanation: Enzymes involved in oxidation and reduction are called oxidoreductases and are classified into four groups: oxidases, dehydrogenases, hydroperoxidases, and oxygenases.
Reference- Haper 30th edition pg-120